False about Neurotic disorders
1. Aware of reality
2. Delusion absent
3. Hallucination absent
4. Loss of insight

Correct answer: 4. Loss of insight